All are true about guanithidine except
1. It prevents exocytocis of norepinephrine
2. Used for treatment of erectile dysfunction
3. Side Effects include diarrhoea
4. No CNS related effects are seen with its use

Correct answer: 2. Used for treatment of erectile dysfunction

Explanation: Refer kK sharma 2/195 guanithidine Acts by inhibiting exocytosis of norepinephrine Does not cross blood brain barrier Postural hypotension diarrhoea and erectile dysfunction are the most common adverse side effects